The major blood supply of hard palate is through:
1. Lesser palatine artery
2. Greater (anterior) palatine
3. Nasopalatine artery
4. Sphenopalatine artery

Correct answer: 2. Greater (anterior) palatine